Sjogren syndrome is characterized by all except
1. Keratoconjunctivitis sicca
2. Excessive salivation
3. Splenomegaly
4. Lymphoma

Correct answer: 2. Excessive salivation

Explanation: Answer- B. Excessive salivationSjogren syndrome is a chronic disease characterized by dry eyes (keratoconjuctivitis sicca) and dry mouth (xerostomia) resulting from immunological mediated destruction of the lactimal and salivary gland.ExtraglandularRaynaud's phenomenonVasculititisAhralgia/AhritisLymphadenopathylymphomaSplenomegalyLung involvementKidney involvementPeripheral neuropathyMyositisLiver involvement